Which protein secreted by adipocytes prevents obesity?
1. Cathepsin
2. Leptin
3. Neuropeptide Y
4. Galanin

Correct answer: 2. Leptin

Explanation: b. Leptin(Ref: Nelson's 20/e p 307-315, Ghai 8/e p 528-529)Leptin is a peptide produced by the ob gene; Its name derived from the Greek root leptos, meaning thinLeptin is secreted by adipose cells and acts primarily through the hypothalamusHigh leptin levels decrease food intake and increase energy expenditure, thereby preventing obesity